In humans, where does depolarisation of cardiac ventricular muscle starts from?
1. Posterobasal part of ventricle
2. Left side of inter ventricular septum
3. Uppermost part of interventricular septum
4. Basal portion of ventricle

Correct answer: 2. Left side of inter ventricular septum

Explanation: In humans, depolarization of the ventricular muscle starts at the left side of the interventricular septum and moves first to the right across the mid portion of the septum. The wave of depolarization then spreads down the septum to the apex of the heart. It then returns along the ventricular walls to the AV groove, proceeding from the endocardial to the epicardial surface. The last parts of the heart to be depolarized are the posterobasal portion of the left ventricle, the pulmonary conus, and the uppermost portion of the septum.